Electrode of cochlear implant is placed at
1. Horizontal semicircular canal
2. Scala media
3. Scala tympani
4. Scala Vestibuli

Correct answer: 3. Scala tympani

Explanation: Principles of cochlear implants The electrical impulses are sent from the processor to the transmitting coil which in turn sends the signal to the surgically implanted receiver/stimulator radiofrequency. The receiver/stimulator decodes the signal and transmits it to the electrode array. Current day implants are multichannel processors with the electrode having a linear array of electrode contacts used to deliver multiple channels of current to different places along the basilar membrane. The electrode array which has been placed in the scala tympani of the cochlea stimulates the spiral ganglion cells. The auditory nerve is thus stimulated and sends these electrical pulses to the brain which are finally interpreted as sound. Ref : Dhingra 7e pg 139.